Which of the following is an activator of LCAT
1. Apo B 100
2. Apo B 48
3. Apo E
4. Apo AI

Correct answer: 4. Apo AI

Explanation: Apo-Al 

Apo A-I is an activator for lecithin : cholesterol acyl transferase (LCAT).